Drug of choice for acyclovir resistant HHV is?
1. Foscarnet
2. Cidofovir
3. Valacyclovir
4. Famciclovir

Correct answer: 1. Foscarnet

Explanation: ANSWER: (A) FoscarnetREF: Harrisons 17th ed chapter 172Therapy with the antiviral drug foscarnet is useful in acyclovir-resistant cases.